The term Arcon is given by:
1. Neswonger
2. Bergstrom
3. RE Hall.
4. E.Granger

Correct answer: 2. Bergstrom